Bartezomib is -
1. Proteosome inhibitor
2. DNA methyl transferase inhibitor
3. Tyrosine kinase inhibitor
4. Histone deacylase inhibitor

Correct answer: 1. Proteosome inhibitor

Explanation: Ans. is 'a' i.e., Proteosome inhibitor Proteosome inhibitors o Transcription factor NFKB is associated by an inhibitor IKB. o IKB is degraded by proteosomes. o Inhibition of proteosome prevents degradation of IKB which inhibits the overactivity of NFKB. o Proteosome inhibitor (Bartezomib) is used in multiple myeloma.